All of the following are ways of regulation of gene expression in eukaryotes, except :
1. Attenuation by operon
2. Gene amplification
3. Gene rearrangement
4. Regulation of mRNA stability

Correct answer: 1. Attenuation by operon

Explanation: Regulation of gene expression in eukaryotes. Unlike prokaryotes, transcription and translation are temporally and spatially separated in eukaryotes. This allows more points of regulation : Gene amplification Gene rearrangement Differential RNA processing Transport of mRNA from nucleus to cytoplasm Regulation of mRNA stability Regulation at translation level Regulation by miRNA Attenuation by operon is seen in prokaryotes, not in eukaryotes